A lady presents with 3 day history of epigastric pain radiating to back. Serum amylase levels were observed to be normal while USG abdomen reveals gall bladder stones and an enlarged pancreas. CT was done which clinched the diagnosis. What is the diagnosis.
1. Acute pancreatitis
2. Acute cholecystitis
3. Acute peritonitis
4. Acute appendicitis

Correct answer: 1. Acute pancreatitis

Explanation: Ans is 'a' i.e. Acute pancreatitis History of epigastric pain radiating to back and enlarged pancreas on U/S is suggestive of acute pancreatitis. U/S findings of gall stones further support the diagnosis of acute pancreatitis as gall stones are the most common cause of acute pancreatic. Serum amylase levels though usually elevated can be normal. Ultrasound finding of gall stone does not suggest acute cholecystitis. For the diagnosis of acute cholecystitis, gall bladder wall should be thickened with or without pericholecystic fluid. Though ultrasound is usually the first imaging investigation done in cases of acute pancreatitis; CT is the investigation of choice. Both CT and ultrasound show enlarged pancreas.